Twin-Peak sign in First-trimester sonography signifies
1. Dichorionic Diamnionic Pregnancy
2. Monochorionic Diamnionic Pregnancy
3. Monochorionic Monoamniotic Pregnancy
4. Conjoint Twins

Correct answer: 1. Dichorionic Diamnionic Pregnancy

Explanation: Two separate placentas suggest dizygosity. Identification of a thick dividing membrane generally 2 mm or greater supports a presumed diagnosis of dichorionicity. The twin peak sign or Lamda sign is seen by examining the point of origin of the dividing membrane on the placental surface. The peak appears as a triangular projection of placental tissue extending a short distance between the layers of the dividing membrane. Reference: William's Obstetrics; 24th edition; Chapter 45; Multifetal Pregnancy